Collection duct has which cells
1. Principal and intercalated
2. Parietal and oxyntic cells
3. Lacis cells
4. Podocytes

Correct answer: 1. Principal and intercalated

Explanation: Ans. (a) Principal and intercalated(Ref: Ganong, 25th ed/p.672)Colleting duct is made up of two types of cell: principal cells (P cells) and intercalated cells (I cells)